Most common arrhythmia after reperfusion syndrome is
1. AIVR
2. VT
3. Ventricular fibrillation
4. PSVT

Correct answer: 1. AIVR

Explanation: AIVR is currently defined as an enhanced ectopic ventricular rhythm with at least 3 consecutive ventricular beats, which is faster than normal intrinsic ventricular escape rhythm (<=40 bpm), but slower than ventricular tachycardia (at least 100-120 bpm) Ref Harrison 20th edition pg 1432